The feature of shock lung is
1. Diffuse alveolar damage
2. Usual interstitial penumonitis
3. Organizing pneumonia
4. Bronchilolitis

Correct answer: 1. Diffuse alveolar damage

Explanation: Ref: Harrison's 18/e p2205, 17/e p1680